Which of the following drugs is used as an immunosuppressant but lacks anticancer activity?
1. Methotrexate
2. 6-Mercaptopurine
3. Azathioprine
4. 5-Fluorouracil

Correct answer: 3. Azathioprine

Explanation: Azathioprine is an antimetabolite that is used as an immunosuppressant but not as an anti-neoplastic drug. It is a prodrug and is converted to its active metabolite (6-mercaptopurine) in the lymphoid cells only.